Choroidal vascularization is seen in -
1. Myopia
2. Hypermelxopia
3. Presbyopia
4. Astigmatism

Correct answer: 1. Myopia

Explanation: chorioretinal atrophic patches and foster fuch spot. REF:khurana,pg no 41